Cholinesterase metabolizes following except –
1. Tetracaine
2. Procaine
3. Acetylcholine
4. Bupivacaine

Correct answer: 4. Bupivacaine

Explanation: Ester local anesthetics (like procaine & tetracaine) are metabolized by cholinesterase (pseudocholinesterase). Amide local anesthetics (Bupivacaine) are metabolized in liver (not by pseudocholinesterase).
Acetylcholine is metabolized by cholinesterase (acetylcholinesterase).